False statement regarding fluorescence in situ hybridization (FISH) is:
1. FISH uses DNA probes that recognize sequences specific to particular chromosomal regions
2. In the process clones are labeled with fluorescent dyes and applied to prophase of cell cycle
3. Multiple chromosomes can be detected simultaneously by introduction of spectral karyotyping
4. Can be performed on prenatal samples also

Correct answer: 2. In the process clones are labeled with fluorescent dyes and applied to prophase of cell cycle

Explanation: Fluorescence in Situ Hybridization (FISH) FISH uses DNA probes that recognize sequences specific to particular chromosomal regions As part of the Human Genome Project, large libraries of bacterial artificial chromosomes that span the entire human genome were created. These DNA clones are labeled with fluorescent dyes and applied to metaphase chromosome spreads or interphase nuclei that are pretreated so as to "melt" the genomic DNA. The probe hybridizes to its homologous genomic sequence and thus labels a specific chromosomal region that can be visualized under a fluorescent microscope. FISH can be performed on prenatal samples, peripheral blood cells, touch preparations from cancer biopsies, and even fixed archival tissue sections. FISH is used to detect numeric abnormalities of chromosomes (aneuploidy); subtle microdeletions or complex translocations that are not demonstrable by routine karyotyping; and gene amplification The number of chromosomes that can be detected simultaneously by chromosome painting is limited by the availability of fluorescent dyes that emit different wavelengths of visible light. This limitation has been overcome by the introduction of spectral karyotyping (also called multicolor FISH).